Intrinsic factor in stomach is secreted by
1. Parietal cells
2. Chief cells
3. Zymogen cells
4. Enterochromaffin cells

Correct answer: 1. Parietal cells

Explanation: In the body of the stomach, including the fundus, the glands also contain parietal (oxyntic) cells,which secrete hydrochloric acid and intrinsic factor, and chief (zymogen, peptic) cells, which secrete pepsinogens Ref: guyton and hall textbook of medical physiology 12 edition page number:406,407,408